Antibodies against Desmoplakin are seen in:
1. P.vegetans
2. P.erythematous
3. Paraneoplastic pemphigus
4. Penicillamine induced pemphigus

Correct answer: 3. Paraneoplastic pemphigus

Explanation: Antibodies against Desmoglein 1 : P.Foliaceous and P.erythematous
Antibodies against Desmoplakin : Paraneoplastic pemphigus
Antibodies against Desmocollin : Drug induced pemphigus